A 14 year old boy having lost his father a year ago, is caught shoplifting. The boy will be sent to -
1. An orphanage
2. An anganwari
3. A prison
4. A remand home

Correct answer: 4. A remand home

Explanation: parks textbook of preventive and social medicine 23rd edition * in remand homes ,the child is placed under the care of doctors,psychiatrists and other trained personnel.every efforts is made to improve mental and physical well beiing of the child .elementary schooling is given,various arts and crafts are taught,gaames are played and other recreational activites are arranged. *boys over16years who are too difficult to be handled in a certified school or have misbehavedvthere are sent to brostal.